Which form of plague can spread from person to person?
1. Bubonic plague
2. Pneumonic plague
3. Septicaemic plague
4. None of the above.

Correct answer: 2. Pneumonic plague

Explanation: In cases of bubonic plague, bacilli are locked up within the lymph nodes and are not infective. Pneumonic plague is highly infectious and spreads from person to person through droplet method. Ref: Park 21st edition: page 270.